In which of the following are linear IgA deposits in mesangium noted-
1. Henoch Schonlein purpura
2. Malaria
3. Good Pasture's syndrome
4. Wegener's granulomatosis

Correct answer: 1. Henoch Schonlein purpura

Explanation: Henoch-Schonlein or anaphylactoid purpura is a self-limited type of hypersensitivity vasculitis occurring in children and young adults. Circulating immune complexes are deposited in the vessel wall consisting of IgA, C3, and fibrin, and in some cases, properdin suggesting activation of alternative complement pathway as the trigger event. Henoch-Schonlein purpura is characterized by hypersensitivity vasculitis and palpable purpura. Ref: Textbook of pathology Harsh Mohan 6th edition page 331 Henoch-Schonlein purpura is a systemic hypersensitivity disease of unknown cause characterized by a purpuric rash, colicky abdominal pain (presumably due to focal hemorrhages into the gastrointestinal tract), polyarthralgia, and acute glomerulonephritis. All these changes result from the deposition of circulating immune complexes within vessels throughout the body and within the glomerular mesangial regions. Ref: ROBBINS AND COTRAN PATHOLOGIC BASIS OF DISEASES 7th ed. pg no: 724